Hemoperfusion with charcoal is useful in poisoning with which of the following?
1. Barbiturate poisoning
2. Methyl alcohol
3. Lithium
4. Ethylene glycol

Correct answer: 1. Barbiturate poisoning

Explanation: Hemoperfusion is used in poisoning with lipid soluble drugs such as barbiturates, glutethimide and theophylline. Hemoperfusion is the technique of passing blood through a bed of particles contained within a device to which blood lines and a blood pump are attached. It differs from hemodialysis in that blood comes in direct contact with the membrane coated sorbent particle and not a continuous dialysis membrane, from plasma pharesis in that no plasma is separated from blood. Clinical indications of hemoperfusion: Poisoning (drug and chemical exposure), hepatic failure (drug induced, fulminant hepatic failure), treatment of uremia and its complications (aluminium toxicity). Poisoning by water soluble drugs such as lithium and chemicals which cause acidosis (methanol, ethylene glycol, salicylate) are best treated with hemodialysis. Ref: Complications of Dialysis edited by Norbert Lamiere, page 127.